Mother has absent / reversal of diastolic flow detected during antenatal period. What is to be done to the baby born to this mother
1. Withhold breatfeeding
2. Provide normal breast feeding
3. Provide minimal enteral nutrition
4. Provide maximum enteral nutrition

Correct answer: 3. Provide minimal enteral nutrition

Explanation: In Antenatal Absent / reversal of diastolic flow
↓
Babies have hypoperfusion to GIT.
So, if breastfeed is with held there is increased risk of NEC
Hence minimal Exteral nutrition ⇒ 10 -15 ml / kg / feed of breast milk given
↓
It promotes maturation of GIT.